All of the following are true about 'Non-disjunction' EXCEPT?
1. It may result in Aneuploidy
2. It is the failure of chromosomes to separate normally during cell division
3. It may occur in meiosis or mitosis
4. It cannot cause Mosaicism

Correct answer: 4. It cannot cause Mosaicism

Explanation: Non-disjunction: failure of chromosomes to separate normally during cell division. It may occur in meiosis or mitosis. It may result in Aneuploidy. If non-disjunction occurs in one of the first few mitotic divisions, 2 or more cell lines can be observed in the same individual- 'Mosaicism'